Breslau's second life test utilizes:
1. Liver
2. Stomach
3. Ear
4. Lungs

Correct answer: 2. Stomach

Explanation: Ans. Stomach